Which of the following defense mechanism is seen in phobia?
1. Reaction formation
2. Dissociation
3. Displacement
4. Regression

Correct answer: 3. Displacement

Explanation: Displacement: shifting emotions about one individual onto another.
It is involved in development of phobias.